Radical curve for plasmodium vivax used
1. Chloroquine
2. Primaquine
3. Mefloquinine
4. Quinine

Correct answer: 2. Primaquine

Explanation: B. i.e. (Primaquine) (784 - KDT 6th)* Drug of choice for radical cure of vivax an ovale malaria is - Primaquine**Commonly used therapeutic options for the Treatment and Prevention of malaria (421-Lippincott,s 3rd)1. All plasmodium species except chloroquine resistant P. falciparum- Chloroquine2. Chloroquine resistant P. falciparum- Quinine + Pyrimethamine - sulfadoxineORDoxycyclineORClindamycinAlternate Mefloquine3. Prevention of relapse P. Vivax and P. ovale only- Primaquine4. Prevention of malaria(i) Chloroquine sensitive geographic areas - Chloroquine(ii) Chloroquine resistant geographic areas - Mefloquine(iii) Pregnancy - Chloroquine** or Mefloquine